Intrinsic cell wall defect of RBCs is feature of -
1. Paroxysmal nocturnal hemoglobinuria
2. Sickle cell anemia
3. Hemophilia
4. All of the above

Correct answer: 1. Paroxysmal nocturnal hemoglobinuria

Explanation: Paroxysmal nocturnal hemoglobinuria is a disease that results from acquired mutations in the phosphatidylinositol glycan complementation group A gene (PIGA), an enzyme that is essential for the synthesis of certain membrane associated complement regulatory proteins. Ref :Robbins pathologic basis of disease ; south east asia edition ;pg:642